Ultraviolet light can damage a DNA strand causing:
1. Two adjacent purine residue to form a covalently bounded dimer
2. Two adjacent pyrimidine residues to form covalently bonded dimer
3. Disruption of phosphodiesterase linkage
4. Disruption of non-covalent linkage

Correct answer: 2. Two adjacent pyrimidine residues to form covalently bonded dimer

Explanation: Ans. B. Two adjacent pyrimidine residues to form covalently bonded dimerDamage to DNA during its replication can occur from ultra violet irradiations that causes thymine dimer formation.